Norplant is :
1. Subcutaneous implant
2. Non steroidal PIU
3. Depot tablet
4. Intra uterine contraceptive device (IUCD)

Correct answer: 1. Subcutaneous implant

Explanation: Subcutaneous implant